Shirmer's test is done for
1. Occulomotor nerve
2. Optic nerve
3. Facial nerve
4. Hypoglossal nerve

Correct answer: 3. Facial nerve

Explanation: Answer is C (Facial nerve): Shirmer's test is done to assess the lacrimation function of the Facial Nerve (Greater Superficial Petrosal Nerve).